Koakoffs sounds are due to
1. Increased laminar flow on application of pressure
2. Closure of aortic valve in diastole
3. Arterial turbulence on occlusion of vessel
4. Normal sound existing, even without application of cuff

Correct answer: 3. Arterial turbulence on occlusion of vessel

Explanation: Korotkoffs sounds are due to arterial turbulence on occlusion of the vessel. The streamline flow in the unconstricted artery is silent. But when the artery is narrowed, the velocity of flow through the constriction exceeds the critical velocity and turbulent flow results. Turbulent flow in the partly occluded brachial artery sets up the vibration (oscillations) of the vessel wall which are heard through the stethescope and are known as koratkoffs sounds. Phase Description K-1 Tapping sound Corresponds to systolic BP K-2 Murmur (soft swishing sound) K-3 Loud and clear tapping sound K-4 Muffled sound K-5 Disappearance of sounds Corresponds to Diastolic BP Note K-4 (muffles sound) corresponds to DBP in Adults after excercise Children Hyperthyroidism Aortic regurgutation Patients with arteriovenous fistulas for hemodialysis Ref: Ganong' s Review of Medical Physiology 26th edition Pgno: 567